All of the following drugs cause hirsutism EXCEPT :
1. Phenytoin
2. Minoxidil
3. Corticosteroids
4. Heparin

Correct answer: 4. Heparin